Which of the following is more characteristic of ulcerative colitis when compared to Crohn's disease (regional enteritis)?
1. segmental involvement
2. granulomas
3. lymph node involvement
4. rectal bleeding

Correct answer: 4. rectal bleeding

Explanation: Rectal bleeding is more characteristic of ulcerative colitis, as is malignancy with long-standing disease, but both can occur in regional enteritis. Transmural involvement, lymph node involvement, skip lesions, granulomas, and anorectal complications (abscesses, fistulas, fissures) are characteristic of Crohn's disease.